Dacron vascular graft is
1. Nontextile synthetic
2. Textile synthetic
3. Nontextile biologic
4. Textile biologic

Correct answer: 2. Textile synthetic

Explanation: .Aneurysm is excised and the arterial graft either PTFE (Polytetrafluoroethylene), knitted dacron graft, or woven dacron graft is placed. The graft is sutured to the vessel above and below using monofilament, nonabsorbable suture material, polypropylene 5-zero. ref:SRB;s manual of surgery,ed 3,pg no 170